Ectopic site of normal tissue is known as-
1. Choristoma
2. Hamartoma
3. Pseudotumor
4. Lymphoma

Correct answer: 1. Choristoma